Wrench like grip is obtained with
1. Mesial half crown
2. Three fourth crown
3. Dowel crown
4. Jacket crown

Correct answer: 2. Three fourth crown